Loading dose of a drug depends upon:
1. Volume of distribution
2. Clearance
3. Half life
4. Duration of action

Correct answer: 1. Volume of distribution

Explanation: Ans. (A) Volume of distribution(Ref: KDT 8th/41)Loading dose: It is mainly used for drugs having long t1/2 and large volume of distribution. It is given to load (saturate) the tissue stores. So it is mainly dependent on Vd.Loading dose = VD x Target plasma concentrationMaintenance dose: It is mainly dependent on CL.Maintenance dose = CL x Target plasma concentration